Female patient with bilateral hilar lymphadenopathy and joint pain. ACE levels are elevated. The diagnosis in this patient is
1. Silicosis
2. Hodgkin lymphoma
3. Sarcoidosis
4. Non Hodgkins lymphoma

Correct answer: 3. Sarcoidosis

Explanation: Sarcoidosis is a multisystem granulomatous disorder of unknown aetiology characterised by presence of non caseating granulomas. LOFGREN SYNDROME - an acute illness characterised by erythema nodosam, peripheral arthropathy, uveitis, bilateral hilar lymphadenopathy,lethargy and fever often seen in young women. Bilateral hilar lymphadenopathy may be sometimes discovered incidentally on chest x-ray . Ref Davidson edition23rd pg 608